Epidermolysis Bullosa simplex is because of defect in:
1. Collagen 7
2. Keratin 5 and Keratin 14
3. Laminin
4. BP1 and BP2

Correct answer: 2. Keratin 5 and Keratin 14

Explanation: Epidermolysis Bullosa simplex : defect in K5 and K14
Epidermolysis Bullosa Junctionalis : defect in Laminin
Epidermolysis Bullosa  Dystrophica : defect in collagen 7
Epidermolysis Bullosa Acquisita : absence of collagen 7